TOC used in nocturnal enuresis is:
1. Bed alarms
2. Imipramine
3. Fluoxetine
4. Trazodone

Correct answer: 1. Bed alarms

Explanation: Treatment of Sleep related enuresis: Bed alarms (behavioural therapy)- TOC Desmopressin (DOC) Imipramine (TCA Antidepressant)